The first to appear in a cause of acute intestinal obstruction is -
1. Constipation
2. Colicky pain
3. Vomiting
4. Distension

Correct answer: 2. Colicky pain

Explanation: • Symptoms of intestinal obstruction: Pain, vomiting, distention and constipation
• Pain is the first symptom encountered; it occurs suddenly and is usually severe.
Pain in Intestinal Obstruction
• It is colicky in nature and is usually centred on the umbilicus (small bowel) or lower abdomen (large bowel)
• The pain coincides with increased peristaltic activity
• With increasing distension, the colicky pain is replaced by a mild constant diffuse pain
• The development of severe pain is indicative of the presence of strangulation
• Pain may not be a significant feature in postoperative simple mechanical obstruction and does not usually occur in paralytic ileus